Epidemiologic Web Of Causation'theme by -
1. Lui pasture
2. Robert Koch
3. McMahon and Pugh
4. None

Correct answer: 3. McMahon and Pugh

Explanation: Ans. is 'c' i.e., McMahan and Pugh o Web of causation model was suggested by McMahon and Pugh in their book "Epidemiological Principles and Methods".o Germ theory of disease -Louis pasteuro Spontaneous generation theory - Aristotleo Multifactorial causation of disease - Pattenkoffer.o Intake offresh (citrus) fruits in prevention of scurvy - James Lindo Term 'Vaccination'- Edward Jennero Term 'Vaccine'- Louis Pasteuro Life cycle of plasmodium - Ronald Rosso Transmission of yellow fever - Walter Reedo First vaccine developed - Small pox (Edward Jenner)o First antibiotic - Penicillin (Alexander Fleming)o Growth chart - David Moley